Melanoma should be excised with a margin of -
1. 2 cm
2. 5 cm
3. 7 cm
4. 10 cm

Correct answer: 1. 2 cm